Gastric lavage can be done in poisoning with:
1. Carbolic acid
2. Oxalic acid
3. Sulfuric acid
4. Caustic potash

Correct answer: 1. Carbolic acid

Explanation: Ans. Carbolic acid